Electrosurgery or laser can be used for:
1. Devitalization pulpotomy.
2. Preservation pulpotomy.
3. Regeneration pulpotomy.
4. None

Correct answer: 1. Devitalization pulpotomy.